Sugamadex is used for ?
1. Organophosphate poisoning
2. Reversal of NM blockers
3. Treatment of local anaesthetic poisoning
4. Treatment of central anticholinergic syndrome

Correct answer: 2. Reversal of NM blockers

Explanation: Ans. is 'b' i.e., Reversal of NM blockers Sugamadex is a novel reversing agent developed for terminating the action of nondepolarizing muscle relaxants rocuronium and vecuronium. It is a modified y-cyclodextrin with high affinity for recuronium and vecuronium. It encapsulates one molecule of NM blocker within its molecule forming an inactive chelate which is excreted in urine with VA of 2 hours. Its side effects are mild precordial pain, nausea, alteration of taste and rarely allergy.